Virus are sharply differentiated from bacteria by:
1. Presence of either DNA or RNA
2. Simple structure
3. Complex multiplication
4. All

Correct answer: 4. All